Koilocytes with perinuclear halo on pap smear is pathognomic of?
1. HPV infection
2. Metaplasia
3. Dysplasia
4. Bacterial vaginosis

Correct answer: 1. HPV infection

Explanation: ANSWER: (A) HPV infectionREF: Shaw's Gynecology 13th ed p- 78, The pap test by Richard M. DeMay page 49-50"Koilocytes, dyskeratocytes, macrocytes, etc. are some of the cytologic findings that are characteristic of condylomas (HPV). Koilocytes with perinuclear halo is pathognomonic of HPV infection"ConditionType of cellEstrogen dominated uterusNormal cornified cellsProgesterone dominated uterusIntermediate cellspregnancyIntermediate cells , Navicular cellsmenopausalBasal, parabasalHPVKoilocytes, dyskeratocytes, macrocytes with perinuclear halo.